Sabin fieldman dye test is used for -
1. Filaria
2. Toxoplasma
3. Histoplasma
4. Ascaris

Correct answer: 2. Toxoplasma

Explanation: Ans. is 'b' i.e., Toxoplasma Laboratory diagnosis of toxoplasmosis* Laboratory diagnosis can be made by -a) Microscopic demonstration of the parasite.b) Isolation of the parasite by animal inoculation or tissue culture.c) Polymerase chain reaction.d) Serology.# The most common method of laboratory diagnosis.Tests for IgG antibodiesTests for IgM antibodies* IgG ELISA/EIA* IgM indirect flourscent antibody test (IgM IFA)* Sabin- Fieldman dye test* Double sandwich ELISA* IgG indirect flourscent antibody test (IgG IFA)* IgM capture EIA* Differntial agglutination (AC/HS)* Immunosorbant agglutination assay (ISAGA)* Avidity test * Frenkel skin test denotes delayed hypersensitivity in toxoplasmosis.